Which intravenous anaesthetic can be used for upper airway manipulation in absence of neuromuscular blockers-
1. Thiopentone
2. Propofol
3. Etomidate
4. Ketamine

Correct answer: 2. Propofol

Explanation: Propofol - induced depression of upper airway reflexes exceeds that of any other agent thus allowing intubation, endoscopy or laryngeal mark placement in absence of neuromuscular blockers. ketamine preserve upper airway reflexes.